Iron deficiency anemia is seen with all of the following except:
1. Chronic blood loss
2. Achlorhydria
3. Extensive surgical removal of the proximal small bowel
4. Excess of meat in the diet

Correct answer: 4. Excess of meat in the diet

Explanation: Ans. D: Excess of meat in the diet Causes of iron deficiency anemia: Diet - The prevalence of iron deficiency anemia is low in geographic areas where meat is an important constituent of the diet. Substances that diminish the absorption of ferrous and ferric iron are phytates, oxalates, phosphates, carbonates, and tannates. Ascorbic acid increases the absorption of ferric and ferrous iron. Hemorrhage - Bleeding for any reason produces iron depletion. If sufficient blood loss occurs chronically, iron deficiency anemia ensues. Malabsorption of iron - Prolonged achlorhydria may produce iron deficiency because acidic conditions are required to release ferric iron from food. - Extensive surgical removal of the proximal small bowel or chronic diseases, such as untreated sprue or celiac syndrome, can diminish iron absorption. Increased demand: pregnancy, lactation and growth periods.